Recovery in cataract surgery is fastest with which of the following -
1. ICCE
2. ECCE
3. Phacoemulsification
4. ECCE with ICI

Correct answer: 3. Phacoemulsification

Explanation: smaller incision nd post operative astigmatism. REF:khurana,pg 199